Signs of antemortem injury are all EXCEPT:
1. Wound gaping
2. Venous bleeding
3. Everted edges
4. Inflammation present

Correct answer: 2. Venous bleeding

Explanation: Venous bleeding REF: Textbook of Forensic Medicine and Toxicology by Nagesh Kumar Rao Page 252 Antemortem Vs Postmortem injury: Antemortem Postmortem Hemorrhage Arterial Venous Laminated Not laminated Firmly adherent Weakly adherent Firm rubbery variegated Soft friable, chicken fat like Deep staining Superficial staining Cannot wash away Can be washed away Edges & Margins Gaping present No gaping Margins everted Margins apposed Swollen Not swollen Vital reaction Inflammation present No inflammation Infection (pus) present No Pus Healing (granulation) present Healing absent Wound serotonin & histamine Increased Not increased Microbiology Clot has platelets Clot lacks platelets Infiltration of RBC, Leucocytes No infiltration